A 5 month-old-baby (exclusively cow milk fed) presented to pediatrics OPD with history of crying on touch. Cause may be:
1. Scurvy
2. Rickets
3. JRA
4. Osteogenesis imperfecta

Correct answer: 1. Scurvy

Explanation: Deficiency of Vitamin C Sub periosteal hemorrhage involving long bones- crying on touch